A 22-year old female has a congenital anemia that required multiple transfusions of red blood cells for many years. She now has no significant findings on physical examination. However, her liver function test results are abnormal. Which of the following findings would most likely appear in a liver biopsy -
1. Steatosis in hepatocytes
2. Bilirubin in canaliculi
3. Glycogen in hepatocytes
4. Hemosiderin in hepatocytes

Correct answer: 4. Hemosiderin in hepatocytes

Explanation: Hemosiderin or haemosiderin is an iron-storage complex. The breakdown of hemegives rise to biliverdin and iron. The body then traps the released iron and stores it as hemosiderin in tissues.Hemosiderin is also generated from the abnormal metabolic pathway of ferritin and may be accumulated in hepatocytes Ref Robbins 9/e pg 409,12